Which of the following holds good in alcoholic hepatitis
1. AST : ALT = 1
2. AST : ALT > 2
3. AST : ALT > 1
4. AST : ALT < 1

Correct answer: 2. AST : ALT > 2

Explanation: AST : ALT > 2 in alcoholic hepatitis.
AST : ALT < 1 in viral hepatitis, ischemic necrosis, toxic hepatitis.